Astasia-Abasia is seen in
1. Alzeihmer's disease
2. Parkinsonism
3. Hysterical conversion disorder
4. Schizophrenia

Correct answer: 3. Hysterical conversion disorder

Explanation: (C) Hysterical conversion disorder # Dissociative Motor Disorders> Motor disturbance usually involves either paralysis or abnormal movements.> 'Abnormal movements' range from tremors, choreiform movements, gait disturbances to convulsive movements.> These movements either occur or increase when attention is directed towards them, and may disappear when patient is watched unobserved.> These movements do not fit the 'typical' clinical picture of the abnormal involuntary movement disorders.> Gait disturbance (astasia abasia) is usually characterized by a wide-based, staggering, jerky, dramatic and irregular gait with exaggerated body movements.